Macrophages with abundant cytoplasm containing dusty brown pigment are seen in
1. Desquamative Interstitial Pneumonia
2. Pulmonary Alveolar Proteinosis
3. Pulmonary Langerhans Cell Histiocytosis
4. Pulmonary Eosinophilia

Correct answer: 1. Desquamative Interstitial Pneumonia

Explanation: Desquamative interstitial pneumonia is characterized by large collections of macrophages in the airspaces in a current or former smoker. The macrophages were originally thought to be desquamated pneumocytes, thus the misnomer "desquamative interstitial pneumonia."The most striking finding is the accumulation of a large number of macrophages with abundant cytoplasm containing dusty brown pigment (smokers' macrophages) in the airspaces.Ref: Robbins and Cotran Pathologic basis of DIsease; 9th edition; Chapter 15; The lung; Change 682